Pendred's syndrome is:
1. Thyroiditis extending into adjacent structures.
2. Autoimmune thyroiditis.
3. Deaf and goitrous patient since infancy.
4. None.

Correct answer: 3. Deaf and goitrous patient since infancy.